Gastric irritation is not caused by
1. Ibuprofen
2. Aspirin
3. Paracetamol
4. Diclofenac

Correct answer: 3. Paracetamol

Explanation: Ans. c (Paracetamol). (Ref. KD Tripathi, 5th/pg. 181)PARACETAMOL AS COMPARED TO ASPIRIN:# Does not stimulate respiration or affect acid-base balance# Causes insignificant gastric irritation# Has no cardiovascular effect# Does not affect platelet function# Is not uricosuricRemaining all above drugs can cause significant gastritis